Salmonellae other than S typhi and S paratyphi cause ?
1. Typhoid fever
2. Enteric fever
3. Gastroenteritis
4. All of the above

Correct answer: 3. Gastroenteritis

Explanation: Ans. is 'c' i.e., Gastroenteritis SALMONELLOSIS Salmonellosis is referred to the infection caused by bacteria of genus salmonella. Salmonellosis is of two types? Typhoidal Salmonellosis caused by S.typhi and paratyphi 'A','B' and 'C' (has been explained, see previous explanations) Non-typhoidal Salmonellosis Non-tvphoidal Salmonellosis (NTS) It is the most common type of salmonellosis ( more common than typhoidal salmonellosis) Common NTS species are? S. enteritidis S. heidelburg S. hadar S. typhimurium S. newpo Unlike typhoid salmonella (S. typhi and S. paratyphi), where only reservoir is humans; non-typhoidal salmonella can be acquired from multiple animal reservoirs. Transmission is most commonly associated with? Animal food products especially eggs, poultry, undercooked meat Dairy products Fresh produce contaminated with animal waste